A patient presents with swelling in the neck following a thyroidectomy; what is the most likely resulting complication:
1. Respiratory obstruction
2. Recurrent laryngeal nerve palsy
3. Hypovolemia
4. Hypocalcemia

Correct answer: 1. Respiratory obstruction

Explanation: In this case, the swelling is due to tension haematoma which is a complication of thyroidectomy. Hence the resulting complication will be respiratory obstruction secondary to laryngeal oedema. Ref: Harrison's Internal Medicine, 18th Edition, Page 362; Bailey and Love's Short Practice of Surgery, 25th Edition, Page 790 and 23rd Edition, Page 727.